To achieve a Net Reproduction rate (NRR) of 1, couple protection rate should be minimum:-
1. 50%
2. 60%
3. 55%
4. 75%

Correct answer: 2. 60%

Explanation: Demographers are of the view that the demographic goal of NRR=1 can be achieved only if the CPR(Couple Protection Rate) exceeds 60% Couple protection Rate: Defined as percentage of eligible couples effectively protected against childbirth by one or the other approved methods of family planning - Sterilization/IUD/Condom/Oral Pills An indicator of prevalence of contraceptive practices in community Achieving CPR of >60% will enable us to achieve the NPP(National Population Policy) goal of NRR=1 and TFR(Total Fertility Rate)=2.1 Current CPR = 54%